Dislocation of the vertebra is uncommon in thoracic region because in this region:
1. The articular process are interlocked
2. The vertebral body is long
3. Anterior longitudinal ligament is strong
4. Spinous process is long and pointed

Correct answer: 1. The articular process are interlocked

Explanation: In the thoracic and lumbar region of the vertebral column the adjoining vertebrae are maintained in position by the close interlocking of the articular process. As a result dislocation in this region is highly uncommon and usually takes place after fracture of the articular process. Intervertebral disc herniation is more common in the lumbar region than cervical.The discs usually affected are those between fourth and fifth lumbar vertebrae and between fifth lumbar and vertebrae and sacrum. A lateral herniation may press on one or two nerve roots going to intervertebral foramen just below.